Which of the following is not a reducing sugar?
1. Fructose
2. Galactose
3. Sucrose
4. Maltose

Correct answer: 3. Sucrose

Explanation: Sucrose contains glucose and fructose .sucrose is not a reducing sugar, and it will not form osazone. is because the linkage involves first carbon of glucose and second carbon of fructose, and free reducing groups are not available.Ref: DM Vasudevan, 7th edition, page no: 77